Which of the following is a laboratory finding of Multiple myeloma
1. Bence jones protein
2. Hyperglobulinemia
3. Both
4. None

Correct answer: 3. Both